Giardiasis is best diagnosed by:
1. CFT
2. Presence of both cysts and trophozoites in stools
3. Presence of cysts only
4. Haemaglutination

Correct answer: 2. Presence of both cysts and trophozoites in stools

Explanation: Presence of both cysts and trophozoites in stools